Predominant constituent of hyaline membrane is
1. A. Albumin
2. B. Anthracotic pigment
3. C. Fibrin rich pigment
4. D. None of the above

Correct answer: 3. C. Fibrin rich pigment

Explanation: The membranes are largely made up of fibrinogen and fibrin admixed with cell debries derived chiefly from necrotic type -2 pneumocytes There is remarkable paucicity in neutrophilic inflammation reaction associated with necrosis